Pelger Huet anamoly shows presence of ?
1. Hyposegmented neutrophil
2. Hypersegmented neutrophil
3. Unsegmented neutrophil
4. None of the above

Correct answer: 1. Hyposegmented neutrophil

Explanation: Ans. is 'a' i.e., Hyposegmented neutrophil Pelger Huet anomaly It is a genetic disorder with an autosomal dominant inheritance pattern. It is a blood laminopathy associated with the lamin B receptor. It is characterized by a white blood cell type known as a neutrophil whose nucleus is hyposegmented. Heterozygotes are clinically normal, although their neutrophils may be mistaken for immature cells, which may cause mistreatment in a clinical setting. Homozygotes tend to have neutrophils with rounded nuclei that do have some functional problems.